Coombs test is used for diagnosing
1. Thalassemia
2. Antibody-mediated hemolytic anemia
3. Sickle cell anemia
4. G6PD deficiency

Correct answer: 2. Antibody-mediated hemolytic anemia

Explanation: The Coombs test, which is used to detect antibodies or complement bound to red cells in suspected cases of antibody-mediated hemolytic anemia.